An old man's autopsy shows brown atrophy of the liver. Microscopic morphology shows finely granular, yellow-brown pigment which often surrounded the nucleus. Brown atrophy is due to accumulation of:
1. Melanin
2. Hemosiderin
3. Hematin
4. Lipofuscin

Correct answer: 4. Lipofuscin

Explanation: Lipofuscin is a "wear and tear" pigment. It is a product of lipid peroxidation, which accumulates in lysosomes as the cell ages. The cell cannot get rid itself of these lipofuscin-laden lysosomes. Lipofuscin accumulation can impart brown discoloration to organ. Such organs may also be atrophic, giving rise to the term 'brown atrophy'. The most common organs where lipofuscin accumulates are the heart and liver.Ref: Pathology: The Big Picture By William Kemp, 2007, Page 8 ; Pathology by Edward R Goljan, Page 7